In pendulum appliance, which wire is used?
1. 0.036" TMA
2. 0.036" SS
3. 0.032" TMA
4. 0.032" SS

Correct answer: 3. 0.032" TMA

Explanation: The pendulum springs are made with 0.032" TMA wire and engaged in the lingual tubes of molars in a passive state.